Endogenous chemoattractants are all except -
1. C5a
2. Integrins
3. LTB4
4. IL 8

Correct answer: 2. Integrins

Explanation: Endogenous Chemoattractants include LTB4, complement system C5, chemokines, but not integrins. Integrins are cell matrix adhesion molecules. Integrins are proteins that function mechanically, by attaching the cell cytoskeleton to the extracellular matrix (ECM), and biochemically, by sensing whether adhesion has occurred. The integrin family of proteins consists of alpha and beta subtypes, which form transmembrane heterodimers. Basic Pathology, Robbins. Page no.:36